Cicatrisial alopecia is seen in:
1. DLE
2. Psoriasis
3. Alopecia areata
4. All

Correct answer: 1. DLE

Explanation: A i.e. DLE